All of following are true about measles except?
1. Maximum incidence in 6m-3 year age group
2. Best age for immunization is 9-12 months
3. Secondary attack rate is 30%
4. I.P. = 7-14 days

Correct answer: 3. Secondary attack rate is 30%

Explanation: Ans. is 'c' i.e., Secondary attack rate is 30%